Shortest acting Mydriatic and Cycloplegic is
1. Atropine
2. Phenylephrine
3. Tropicamide
4. Homatropine

Correct answer: 3. Tropicamide

Explanation: Shortest acting Mydriatic and Cycloplegic is Tropicamide.
Phenylephrine is only mydriatic with no cycloplegic property.